A patient with history of chronic pancreatitis comes to you for regular follow up. Which vitamin deficiency can be expected in the patient
1. Vit B1
2. Vit K
3. Vit B6
4. Vit B3

Correct answer: 2. Vit K

Explanation: Chronic pancreatitis is associated with malabsorption and steatorrhea and can lead to deficiency.
Fat soluble vitamins (A, D, E, K) though it is rare.